Which cardinal movements occurs during labour:
1. Flexion
2. Extension
3. Internal rotation and Descent both
4. All

Correct answer: 4. All

Explanation: Ans. is a, b and c i.e. Flexion, Extension, Internal rotation, Descent and Asynclitisms Series of events that take place in the genital organs in an effort to expel the viable products of conception out of the womb through the vagina into the outer world is called as Labour. Mechanism of normal labour is defined as the manner in which the fetus adjusts itself to pass through the parturient canal with minimal difficulty. There are 8 cardinal movements of the head in normal labour. Every - Engagement (Synclitic or Asynclitic) Decent - Descent Female Flexion I Internal rotation Choose to Crowning Employ - Extension Rises Restitution Extremely - External rotation Mnemonic : Every Decent Female 1 Choose to & Employ Rises Extremely. Note : Crowning is not taken as a separate cardinal movement of labour by most of the higher standard obs textbooks except 'Nitta Let us also understand what is engagement. Engagement is said to occur when the greatest transverse diameter of the presenting part (which in case of cephalic presentation is biparitaldeg diameter9 has passed through the pelvic inlet. Engagement is a sign that maternal pelvis is adequate for the particular head and that vaginal delivery is likely to occur. Engageme-' can be : Synctitic When sagittal suture of the head of fetus lies in the transverse diameter of pelvic inlet (midway between the pubic symphysis and the sacral promontory) It occurs in 25% cases Asynclitic Anterior : Sagittal suture is defected towards sacral promontory. Also k/a anterior parietal presentaion/Naegeles obliquity. It occurs commonly in multipara Posterior : Sagittal suture is defected towards pubic symphysis. the posterior parietal bone thus becomes the leading part. Also k/a Litzman obliquity/ parietal presentation It occurs commonly in nulliparous women. So in the question if instead of engagement, asynclitism or synclitism is given, it should also be taken as a cardinal movement. Also know Most common presentation -- cephalic (95%). Most common presenting part -- vertex In normal labour, the head enters the pelvis more commonly through the transverse diameterdeg (75% cases) or oblique diameters (20% cases) (Ird most common) and AP diameter (5% cases) at the onset of labourdeg. The most common position (i.e. relation of occiput to quadrant of pelvis) is aft occipito-transverse.- The engaging diameter of head is Sup occipito ureyr Val diarriu (9.5 cm) ordeg In slight deflexion is Sub occipito frontal (10 cm).deg